All of the following are paired except
1. Interarytenoids
2. Corniculate
3. Vocal cords
4. Cricothyroids

Correct answer: 1. Interarytenoids

Explanation: Interarytenoid is unpaired and acts as adductor whereas Corniculate, Vocal cords and Cricothyroids are paired. Ref: PL Dhingra Textbook of Ear, Nose and Throat, Edition 6, page - 319, 321